Watershed area between a Superior mesenteric artery and Inferior mesenteric artery which commonly result in ischemia is -
1. Hepatic flexure
2. Splenic flexure
3. Rectosigmoid junction
4. Ileocolic junction

Correct answer: 2. Splenic flexure